Imaging modality of choice for diagnosing brain metastases:
1. CECT
2. MRI
3. MRS
4. PST

Correct answer: 2. MRI

Explanation: Ans. B. MRIThe sensitivity of CT in detecting cerebral metastases may not be high enough, however, to warrant its routine use in asymptomatic patients without signs of disease. The increased sensitivity of MRI in detecting brain metastases makes it the preferred imaging modality for routine evaluation of the eNS in patients suspected of cerebral metastases. PET is not better than MRI because of the background activity of grey matter.